Vaccination causing intussusception is
1. Rotavirus
2. Parvovirus
3. Poliovirus
4. BCG

Correct answer: 1. Rotavirus

Explanation: Rotavirus vaccination - there is a potentially high risk of intussusception with the first dose when this vaccine is given to infants aged more than 12weeks. Ref: Park's textbook of preventive and social medicine; 23rd edition.